Central line may be inserted in all of the following veins except -
1. Internal Jugular vein
2. Femoral Vein
3. Subclavian Vein
4. Common iliac vein

Correct answer: 4. Common iliac vein

Explanation: Answer- D. Common iliac veinCommon sites of central line insertionInternal jugular veinSubclavianveinAxillary veinFemoral vein